Vestibular ocular reflex
1. Neo Cerebellum
2. Occipital Lobe
3. Paleocerebellum
4. Flocculonodular Lobe

Correct answer: 4. Flocculonodular Lobe